A Myocardial infarcted patients presented with nausea, vomiting, epigastric pain, with bradycardia. ECG records first degree heart block infraction. Most common involvment is
1. Left anterior descending artery
2. Right coronary artery
3. Oblique artery
4. Left circumflex coronary artery

Correct answer: 2. Right coronary artery

Explanation: (Right coronary artery) (315- CMDT-08) (320- Harsh Mohan 5th) (1533-H17th)* Belching or vomiting and bradycardia is usually associated with Inferior wall infarction**1.Stenosis of the left anteriorMost common (40-50%), region of infarction descending coronary arteryis Anterior part of the left ventricle**including the apex and the anterior 2/3 of interventricular septum2.Stenosis of the right coronary artery30 - 40% - Involves Posterior {Inferior)Bmd the posterior 1/3 of the interventricular septum3.Stenosis of the left circumflex15-20% - Involves lateral wall of the left coronary arteryVentricle